Holding time for Hot air oven with temperature of 1800C
1. 15 min
2. 30 min
3. 60 min
4. 120 min

Correct answer: 2. 30 min